Stability of denture can be increased by
1. V-Y plasty procedure
2. Z plasty procedure
3. Both
4. None

Correct answer: 3. Both

Explanation: V-Y plasty procedure or Z plasty procedure is used for frenectomy procedure to increase the stability of denture.